Hippus occurs in ______ Poisoning:
1. Opium
2. Curare
3. Aconite
4. Datura

Correct answer: 3. Aconite

Explanation: Aconite poisoning GIT: Nausea, vomiting, salivation, pain in the abdomen and diarrhea. Bitter-sweet taste, severe burning and tingling of tongue, mouth, perioral area and throat, followed by numbness. CVS: Hypotension, chest pain, palpitations, bradycardia, sinus tachycardia, ventricular ectopics and ventricular tachycardia/fibrillation. CNS : Vertigo, restlessness, headache, giddiness. RS : Respiration is slow, labored and shallow. Ocular: pupils alternately contract and dilate (hippus). Diplopia and impaired vision occurs.